Gonadotrophin is a :
1. Steroid
2. Lipoprotien
3. Polypeptide
4. Glycoprotien

Correct answer: 4. Glycoprotien

Explanation: Glycoprotien